Secondary glaucoma associated with angle recession is seen in-
1. Concussion injury
2. Radiation injury
3. Penetrating injury
4. Chemical injury

Correct answer: 1. Concussion injury

Explanation: *Angle recession of anterior chamber can result from blunt ocular trauma. Angle recession is most commonly seen in patients in whom trauma has resulted in a hyphema. In these patients, the IOT remains normal for many years or even decades and them become severely elevated. On gonioscopy, angle recession is seen as deep angle with an abnormally wide ciliary body face. Ref: Clinical pathway in glaucoma p.402